Hepatic adenoma not true is -
1. Benign lesion
2. OCP use
3. Older females
4. Cold on isotope scan

Correct answer: 3. Older females

Explanation: Ans. is 'c' i.e.. Older females o Hepatic adenomas are benign solid neoplasms of liver.MC seen in younger females (20-40 years of age)Usually solitaryRisk factor - Prior/current use of estrogens (OCP)o Clinical FeaturesPatients usually present with upper abdominal pain.Physical examinated is usually unrevealing,o Microscopic FeaturesCords of congested or Fat laden hepatocvtes-absent biliary ductules or normal liver architecture,o DiagnosisCT Scan - Well circumscribed heterogenous mass showing early enhancement during arterial phase.MRI Scan - Hyperintense on T, weighted image and enhance early after gadolinium injection,o Isotope Scan - Hepatoma appears cold.o ComplicationsRupture with intraperitoneal bleeding.Malignant transformation (rare) - to HCCo TreatmentHepatic artery embolisation.Resection.